What is true for restrictive lung disease?
1. FEV1/FVC decreased, compliance normal
2. FEV1/FVC increased, compliance increased
3. FEV1/FVC decreased, compliance increased
4. FEV1/FVC increased, compliance decreased

Correct answer: 4. FEV1/FVC increased, compliance decreased

Explanation: In Restrictive lung disease, parenchymal involvement will lead to pulmonary fibrosis and hence it will be difficult to inflate the lung leading to the reduction in lung compliance. The FEV1/ FVC ratio is increased in restrictive lung disease because the numerator and denominator in the ratio are both reduced in restrictive lung disease, with FVC decreasing disproportionately.